Superficial perineal space contains all except
1. Root of penis
2. Urethral artery
3. Great vestibular glands (Bartholin glands)
4. Membranous uretha

Correct answer: 4. Membranous uretha

Explanation: Contents muscles Ishiocavernous muscle Bulbospongiousmuscle Superficial transverse perinial muscle. Crura of penis (males) / Crura of clitoris(females Bulb of penis (males) / Vestibular bulbs(females) Greater vestibular gland(female) ref - BDC 6e vol2 pg354